Syndrome which is associated with increase susceptibility to HPV infection is :
1. WHIP Syndrome.
2. WHIM Syndrome.
3. WHET Syndrome.
4. WHIE Syndrome.

Correct answer: 2. WHIM Syndrome.

Explanation: WHIM Syndrome
W  – Warts
H – Hypogammaglobulinemia
I  – Infections
M – Myelokathesis